Which of the following pigment s are involved in free radical injury
1. Lipofuscin
2. Bilirubin
3. Melanin
4. Hematin

Correct answer: 1. Lipofuscin

Explanation: Ref, Robbins 7/ep39,9/e p64